All the following are features of hemolytic anemia except
1. Decreased RBC life span
2. Altered erythroid and myeloid ratio
3. Bilirubin in urine
4. Decreased haptoglobin

Correct answer: 3. Bilirubin in urine

Explanation: Ref Harrison 19 th ed pg 650 Presence of bilirubin in urine indicates the presence of conjugated bilirubin in the plasma.hemolytic anemias are associated with unconjugated hyperbilirubinemia not conjugated hyperbilirubinemia